Which of the following ACE inhibitor is not a prodrug -
1. Captopril
2. Enalapril
3. Ramipril
4. All

Correct answer: 1. Captopril

Explanation: Ans. is 'a' i.e., Captopril o All ACE inhibitors are prod rugs except captopril and Lisinopril.